Membrana tectoria is continuation of:
1. Anterior longitudinal ligament
2. Posterior longitudinal ligament
3. Anterior atlanto-occipital membrane
4. Posterior atlanto-occipital membrane

Correct answer: 2. Posterior longitudinal ligament

Explanation: Ans. b. Posterior longitudinal ligament